Commonest association seen in carcinoma Gallbladder
1. Peritoneal deposits
2. Duodenal infiltration
3. Secondaries to liver
4. Cystic node involvement

Correct answer: 3. Secondaries to liver

Explanation: Metastasis in Carcinoma Gallbladder Direct hepatic invasion :59% cases Lymph node metastasis : 45%cases Perineural invasion: 42% cases Ref: Sabiston 20th edition Pgno : 1512-1514